Postmortem caloricity is not seen in
1. Pontine haemorrhage
2. Bacteremia
3. Postmortem glycogenolysis
4. Status epilepticus

Correct answer: 3. Postmortem glycogenolysis

Explanation: Postmortem Caloricity : Body temperature remains elevated for the first 2 hours after death. Normally, there is a steady decline in body temperature after death. But in this state, the body temperature does not fall in the initial few hours after death. Mechanism Endogenous heat production (heat produced within the body) Disturbed regulation of heat production before death - Heat stroke, Pontine haemorrhage Heat production due to muscle convulsions - tetanus, strychnine poisoning Heat production due to excessive bacterial activity, as in septicaemic conditions, cholera and other fevers. Not seen in postmortem glycogenolysis